Most common site of metastasis in Choriocarcinoma is?
1. Liver
2. Lungs
3. Brain
4. Ovaries

Correct answer: 2. Lungs

Explanation: ANSWER: (B) LungsREF: Shaw 14th e p- 233Sites of metastasis in choriocarcinomaLungs (80%) > vagina (30%) > pelvis (20%) > liver (10%) > brain (10%)